Best radiolabelled marker for DNA replication is
1. Ribose
2. Thymidine
3. Phosphate
4. Uracil

Correct answer: 2. Thymidine

Explanation: Nucleic acids are readily labeled with tags that facilitate detection or purification. A variety of enzymatic or chemical methods are available to generate nucleic acids labeled with radioactive phosphates, fluorophores, or nucleotides modified with biotin or digoxygenin for example.